Khodadaust Line indicates
1. Sypathetic ophthalmia that has poor prognosis
2. Rejection of corneal graft
3. Poor prognosis of Acute congestive glaucoma
4. Lesion at optic chiasma

Correct answer: 2. Rejection of corneal graft

Explanation: Answer- B. Rejection of corneal graftA Khodadoust Line or chronic focal transplant reaction is a medical sign that indicates a complication of corneal graft surgery on the eye.This method is called Khodadoust Line.